Nerve most commonly injured in Mac Burneys incision:
1. Subcostal
2. Iliohypogastric nerve
3. 11th thoracic
4. Illoinguinal

Correct answer: 2. Iliohypogastric nerve

Explanation: Right inguinal hernia is more common following a grid iron (MC Burney's) incision for appendicectomy and is due to injury to the iliohypogastric nerve.